Anti pruritic property is seen with
1. Thiopentone
2. Propofol
3. Etomidate
4. Ketamine

Correct answer: 2. Propofol

Explanation: Propofol has anti pruritic property.